Schneiderian membrane is:
1. Stratified squamous epithelium.
2. Pseudostratified cilliated columnar epithelium.
3. Stratified columnar epithelium.
4. Stratified cilliated columnar epithelium.

Correct answer: 2. Pseudostratified cilliated columnar epithelium.